Which of the following is difference between Rheumatoid arthritis and osteoarthritis
1. Osteopytes are seen in osteoarthritis
2. Systemic symptoms are seen in osteoarthritis
3. Rheumatoid arthritis is uncommon in hands and feet
4. Osteoarthritis is an autoimmiune disease

Correct answer: 1. Osteopytes are seen in osteoarthritis

Explanation: Answer- A. Osteopytes are seen in osteoarthritisOsteoarthritisDegenerative processOsteopytes seenAffects elderlySmall joints of hands and feet affectedESR , CRP usually normal